On the ribosome, mRNA binds
1. between the subunits
2. to the large subunit
3. to the small subunit
4. none of these

Correct answer: 3. to the small subunit

Explanation: During initiation, the small ribosomal subunit binds to the start of the mRNA sequence.
Then a transfer RNA (tRNA) molecule carrying the amino acid methionine binds to what is called the start codon of the mRNA sequence.